Pseudomonas aeruginosa
1. Produces heat stable enterotoxin
2. Causes Shanghai fever
3. Cannot be destroyed at 55 degree at 1 hr.
4. Does not produce any pigment

Correct answer: 2. Causes Shanghai fever